It is a common fact that sex chromatin cannot be made out in badly decomposed bodies. Upto how long after death can fluorescent dyes demonstrate Y chromosomes in the dental pulp?
1. 3 months
2. 6 months
3. 9 months
4. 12 months

Correct answer: 4. 12 months

Explanation: By using fluorescent dye Y chromosome can be demonstrated in dental pulp tissue upto 1 year. F.bodies are seen in 30 - 70% of cells in males. Also know: F.bodies may also be seen in up to 0 - 4% in females Ref: Textbook of Forensic Medicine and Toxicology by Narayan Reddy, Edition 21, Page - 51.